According to modified plan of operation, endemic areas were classified based on
1. API
2. ABER
3. Slide positivity rate
4. Slide falciparum rate

Correct answer: 1. API